Hemoperfusion with charcoal is useful in poisoning with: -
1. Phenytoin
2. Methyl alcohol
3. Lithium
4. Ethylene glycol

Correct answer: 1. Phenytoin

Explanation: Hemoperfusion should be considered in cases of severe poisoning due to